Superfecundation is
1. Fertilisation of two ova discharged within same menstrual cycle, by two different acts of coitus
2. Fertilisation of two ova discharged from ovary at different periods of ovulation
3. Both of the above
4. None of the above

Correct answer: 1. Fertilisation of two ova discharged within same menstrual cycle, by two different acts of coitus

Explanation: Optios b is superfetation.